All of the following radioisotopes are used as systemic radionuclides, EXCEPT:
1. Iridium192
2. Strontium89
3. Samarium153
4. Phosphorus32

Correct answer: 1. Iridium192

Explanation: Systemic radionuclides are non sealed radio nuclides which are administered orally, intravenously or intracvitarily. Sodium iodide (I131), sodium phosphate (P32), samarium 153, strontium 89 chloride and rhenium are used as systemic radionuclides. Ref: Principles of Radiation Oncology By Carlos and Luther, 4th Edition, Pages 636-7